Which of the following is not a common clinical manifestation of thyrotoxicosis?
1. Gynaecomastia
2. Loss of libido
3. Goiter
4. Weight gain

Correct answer: 4. Weight gain

Explanation: Ans. is 'd' i.e., Weight gain Thyrotoxicosis* Thyrotoxicosis is defined as the state of thyroid hormone excess and is not synonymous with hyperthyroidism, which is the result of excessive thyroid function.* Following are the clinical manifestations of thyrotoxicosis :Signs and Symptoms of Thyrotoxicosis (Descending Order of Frequency)SymptomsSignsHyperactivity, irritability, dysphoriaTachycardia, atrial fibrillation in the elderlyHeat intolerance and sweatingTremorPalpitationsGoiterFatique and weaknessWarm, moist skinWeight loss with increased appetileMuscle weakneess, proximal myopathyDiarrheaLid retraction or lagPolyuriaGynecomastiaOligomenorrhea, loss of libido